Which of the following complications is likely to result after several units of blood have been transferred?
1. Metabolic alkalosis
2. Metabolic acidosis
3. Respiratory alkalosis
4. Respiratory acidosis

Correct answer: 1. Metabolic alkalosis

Explanation: Massive Transfusion is defined as the need to transfuse one to two times the patient's normal blood volume or > 50% of blood volume within 3 hours.nn In a normal adult, this is equivalent to 10-20 units. Most common abnormality is metabolic alkalosis. It results from the conversion of citrate (present in stored blood) and lactate (accumulated due to hypoperfusion) to bicarbonate.